An emerging viral pathogen causing pyelonephritis in kidney allografts is-
1. Molluscom contagiosum
2. Herpes simplex virus
3. Polyoma virus
4. Influenza virus

Correct answer: 3. Polyoma virus

Explanation: polyoma virus cmain multiplication site is brain&renal celld.this virus is seen in urine of the patient who had undergone kidney transplant REF:ANATHANARAYANAN MICROBIOLOGY NINTH EDITION PAGE.554